Marginal artery of Drummond is formed by:
1. Celiac artery
2. Gastroduodenal artery
3. Internal iliac artery
4. Inferior mesenteric artery

Correct answer: 4. Inferior mesenteric artery

Explanation: Ans. D. Inferior mesenteric arteryThe marginal artery of Drummond, also known as the marginal artery of the colon, is a continuous arterial circle or arcade along the inner border of the colon formed by the anastomoses of the terminal branches of the superior mesenteric artery (SMA) and inferior mesenteric artery (IMA). Straight vessels (known as vasa recta) pass from this marginal artery to the colon.